Ruptured globe is suspected if there is:
1. Proptosis
2. Subluxation of lens
3. Blow-out fracture
4. Chemosis, haemorrhage, decreased TOP

Correct answer: 4. Chemosis, haemorrhage, decreased TOP

Explanation: Ans. Chemosis, haemorrhage, decreased TOP